A patient with steatorrhea has microcytic anemia. The urine excretion of D-Xylose after 25 gm oral D- Xylose is 2.5 gm. He Is suffering from:
1. Celiac sprue
2. Chronic pancreatitis
3. Tropical sprue
4. Ileal resection

Correct answer: 1. Celiac sprue

Explanation: Ans. A. Celiac sprue* Malabsorption syndrome affecting proximal intestine will lead to iron, folic acid and calcium deficiency as these nutrients are absorbed from duodenum and jejunum.* D xylose is also absorbed from proximal mucosa hence will not be absorbed in conditions affecting proximal mucosa.* Celiac sprue predominantly affects proximal intestine. Tropical sprue mainly affects distal intestine.* Chronic pancreatitis will not affect mucosa of intestine therefore D xylose test will be normal.